Lecithinase test is seen in:
1. Clostridium tetani
2. Clostridium botulinum
3. Clostridium perfringens
4. Clostridium difficile

Correct answer: 3. Clostridium perfringens

Explanation: Ans. C. Clostridium perfringensNagler's or Lecithinase or phospholipase or alpha toxin neutralization is done in Clostridium perfringens